STYLOHYOID muscle is supplied by -
1. Facial
2. Glossopharyngeal
3. Ansacervical
4. Vagus

Correct answer: 1. Facial

Explanation: Ans. is 'a' i.e., Facial Muscles of the NeckMuscleOriginInsertionNerve SupplyActionPlatysmaDeep fascia over pectoralis major and deltoidBody of mandible and of mouthFacial nerve cervical branchDepresses mandible and angle of mouthSternocleidomastoidManubrium stern i and medial third of clavicleMastoid process of temporal bone and occipital boneSpinal part of accessory nerve and C2 and 3Two muscles acting together extend head and flex neck; one muscle rotates head to opposite sideDigastricPosterior bellyMastoid process of temporal boneIntermediate tendon is held to hyoid by fascial slingFacial nerveDepresses mandible or elevates hyoid boneAnterior bellyBody of mandible Nerve to mylohyoid StylohyoidStylohyoid processBody of hyoid boneFacial nerveElevates hyoid boneMylohyoidMylohyoid line of body of mandibleBody of hyoid bone and fibrous rapheInferior alveolar nerveElevates floor of mouth and hyoid bone or depresses mandibleGeniohyoidInferior mental spine of mandibleBody of hyoid bone1st cervical nerveElevates hyoid bone or depresses mandibleSternohyoidManubrium stemi and clavicleBody of hyoid boneAnsa cervical is; Cl, 2 and 3Depresses hyoid boneSternothyroidManubrium sterniOblique line on lamina of thyroid cartilageAnsa cervicalis; Cl, 2 and 3Depresses larynxThyrohyoidOblique line on lamina of thyroid cartilageLower border of body of hyoid bone1st cervical nerveDepresses hyoid bone or elevates larynxOmohyoidInferior bellyUpper margin of scapula and suprascapular LigamentIntermediate tendon is held to clavicle and first rib by fascial slingAnsa cervicalis; Cl, 2 and 3Depresses hyoid boneSuperior bellyLower border of body of hyoid bone Scalenus anteriorTransverse processes of 3rd, 4th, 5th and 6th cervical vertebrae1st ribC4t 5 and 6Elevates 1st rib; laterally flexes and rotates cervical part of vertebral columnScalenus mediusTransverse processes of upper six cervical vertebrae1st ribAnterior rami of cervical nervesElevates 1st rib; laterally flexes and rotates cervical part of vertebral columnScalenus posteriorTransverse processes of lower cervical vertebrae2nd ribAnterior rami of cervical nervesElevates 2nd rib; laterally flexes and rotates cervical part of vertebral column